Diagnosis of Hodgkin's disease is confirmed by -
1. CT scan
2. Bone marrow biopsy
3. Lymph node biopsy
4. Lymphangiography

Correct answer: 3. Lymph node biopsy